Which of the following enzyme of TCA cycle is analogous to Pyruvate dehydrogenase complex?
1. Isocitrate dehydrogenase
2. Alpha ketoglutarate dehydrogenase
3. Malate dehydrogenase
4. Succinate dehydrogenase

Correct answer: 2. Alpha ketoglutarate dehydrogenase

Explanation: Alpha ketoglutarate dehydrogenase catalyses an oxidative decarboxylation reaction similar to that of pyruvate dehydrogenase. uses the same coenzymes as the PDH complex (their E3 components are identical). Like PDH complex, its E2 is inhibited by arsenic.